Gum hypertrophy is a clinical feature of -
1. AML
2. MS
3. ALL
4. NHL

Correct answer: 1. AML

Explanation: Ans. is 'a' i.e., AML o Monocytic differentiation type (M4 and M5) of AML may present with infiltration of skin (leukemia cutis) and gingival hypertrophyOther clinical features of AMLo The clinical findings in AML are similar to those in ALL i.e., suppression of normal hematopoiesis in the marrow that results in -a) Anemia - Fatigue, pallorb) Neutropenia - Infection, Feverc) Thrombocytopenia - Spontaneous mucosal and cutaneous bleeding. This is the most striking clinical feature.o Tumor cells in acute promyelocytic leukemia (M3) release procoagulant and fibrinolytic factors that cause Disseminated intravascular coagulation (DIC).o Chloromas (granulocytic sarcomas or myeloblastomas) are localize masses composed of myeloblasts in the absence of marrow or peripheral blood involvement. These are seen in M4 & M5. Chloromas (granulocytic sarcomas) are positive for CD 20, CD 34, CD 43, CD 68, CD 117, myeloperoxidase and lysozyme